Which are seen in endodermal sinus tumor?
1. Schiller-duval bodies
2. Reed-Sternberg cells
3. Reinke's crystals
4. Russell bodies

Correct answer: 1. Schiller-duval bodies

Explanation: Ans. is a, i.e. Schiller-Duval bodiesRef: CGDT 9th/ed, p938; Shaw 13rd/ed, p362Call exner bodies are small cyst like spaces found in cases of granulosa cell tumor.FeatureAssociated tumorCall exner bodies & coffee bean nucleiGranulosa cell tumorSchiller duval bodiesEndodermal sinus tumorReinke's crystalHilus cell tumorPsammoma bodiesSerous epithelial tumorsWalthard cell nestBrenner tumorSignet ring cellKrukenberg tumorHobnail cellClear cell tumorLarge polygonal cell with lymphocyticInfiltration and fibrous septaDysgerminomaSkin, teeth, cartilageTeratoma